Obstruction to the flow of CSF at the aqueduct of sylvius will most likely lead to enlargement of:
1. All of the ventricles
2. Only lateral ventricle
3. Only fourth ventricle
4. Both lateral and third ventricles

Correct answer: 4. Both lateral and third ventricles

Explanation: . Both lateral and third ventricles